Which is the singke most important factor that stimulates insulin secretion?
1. Decreased plasma glucose concentration inhibits insulin release.
2. Decreased plasma glucose concentration stimulate insulin release.
3. Increased plasma glucose concentration stimulate insulin release.
4. Increased plasma glucose concentration inhibits insulin release.

Correct answer: 3. Increased plasma glucose concentration stimulate insulin release.

Explanation: Plasma glucose concentration: Increased plasma glucose concentration stimulate insulin release. FACTORS INFLUENCING: 1. Stimulating factor: Glucose - Relationship between glucose concentration & insulin secretion is "SIGMOIDAL" Intestinal hormones -GLP -1. GIP. Gastrin. Secretin. CCK Parasympathetic stimulation - acetylcholine. Endocrine hormones - Growth hormone, Glucagon & Glucocorticoids.